A 72-year-old man has multiple injuries and an altered sensorium after a high-speed motor vehicle collision. He is intubated for his decreased mental status. During intubation, a large amount of gastric contents are noted in the posterior pharynx and he aspirates. Which of the following is the appropriate initial treatment?
1. Bronchoscopy for aspiration of particulate matter
2. Steroids
3. Prophylactic antibiotics
4. Inhaled nitric oxide

Correct answer: 1. Bronchoscopy for aspiration of particulate matter

Explanation: Bronchoscopy is indicated for aspiration pneumonitis if there is particulate matter in the tracheobronchial tree. Prophylactic antibiotics are not indicated after gross aspiration, which results in a chemical pneumonitis. Antibiotics are indicated only if pneumonia develops. Steroids and inhaled nitric oxide are not indicated for aspiration pneumonitis. High positive end-expiratory pressure is not required in patients unless respiratory failure develops.